MC commensal gut flora in adult -
1. Lactobacillus
2. Bacteroides
3. E. coli
4. Klebsiella

Correct answer: 2. Bacteroides

Explanation: In the human intestines, Anaerobes out number aerobic bacteria a thousand fold
Among anaerobes Bacteroides are in predominant number in human gut flora.